Gustatory hallucinations are most commonly associated with:
1. Temporal lobe epilepsy
2. Grand mal epilepsy
3. Anxiety disorders
4. Tobacco dependence

Correct answer: 1. Temporal lobe epilepsy

Explanation: Gustatory hallucinations are most commonly associated with temporal lobe lesions, especially uncinate gyrus seizures. Patients report experiencing bitter, sweet, salty, tobacco-like, metallic or indescribable strange tastes. They are found in 4% of seizure patients with temporal lobe foci. Ref: Clinical neuropsychology 4th Ed By Kenneth M.Heilman, Page 488.